The earliest public health law was promulgated in ?
1. Germony
2. Russia
3. China
4. England

Correct answer: 4. England

Explanation: Ans. is 'd' i.e., England First country to introduce compulsory sickness insurance - Germany.First country to socialize medicine completely - Russia.First country to start accupuncture - ChinaFirst country to start family planning programme - India.First country to start concept of health care & public health - England.First country to start Blindness control programme - India.First country to start Pasteurization - France.First country to develop bath, sewers and aqueducts for sanitation - Rome.